Epalrestat is an ?
1. Aldolasereductase inhibitor
2. Fructose cogener
3. Glucose receptor blocker
4. Glucose reuptake activator

Correct answer: 1. Aldolasereductase inhibitor

Explanation: Ans. is 'a' i.e., Aldolasereductase inhibitor Aldose reductase, is an enzyme that is normally present in many other parts of the body, and catalyzes one of the steps in the sorbitol(polyol) pathway that is responsible for fructose formation from glucose. Aldose reductase activity increases as the glucose concentration rises in diabetes in those tissues that are not insulin sensitive, which include the lenses, peripheral nerves and glomerulus. Aldose reductase inhibitors are a class of drugs being studied as a way to prevent eye and nerve damage in people with diabetes. Examples of aldose reductase inhibitors include :- Tolrestat (withdrawn from market) Epalrestat Ranirestat Fidarestat